In which of the following cardiac structure is middle cardiac vein located?
1. Anterior AV groove
2. Posterior AV groove
3. Anterior interventricular sulcus
4. Posterior interventricular sulcus

Correct answer: 4. Posterior interventricular sulcus

Explanation: Posterior interventricular vein or middle cardiac vein runs in the posterior interventricular sulcus and may drain into the right atrium or into the coronary sinus.